In inversion of the foot, the sole will face:
1. Upwards
2. Downwards
3. Laterally
4. Medially

Correct answer: 4. Medially

Explanation: Ans: d (Medially) Ref: BDC, Vol. II, 4th ed, p. 155; Kieth L. Moore, 4th ed, p. 638Inversion is the movement in which the medial border of the foot is elevated, so that the sole faces medially.Eversion is the movement in which the lateral border of the foot is elevated. So that the sole faces laterally.Joints of the foot and the Movements taking place there:JOINTTYPE OF JOINTMOVEMENTSAnkle jointHinge jointPlantar flexion, dorsiflexionSubtalar joint (talocalcaneal)Plane synovialInversion, eversionT alocalcaneonavicularBall and socketGliding and rotator movementsCalcaneocuboidPlane synovialInversion, EversionTarsometatarsalPlane synovialGliding or slidingIntermetatarsalPlane synovialLittle movement possibleMetatarsophalangealCondylarFlexion, extension, adduction, abduction and circumductionInterphalangealHinge varietyFlexion, Extension